Which of the following drug is an Immunostimulant?
1. Prednisolone
2. Levamisol
3. Cyclosporine
4. Thalidomide

Correct answer: 2. Levamisol

Explanation: (Ref: Goodman & Gliman 11/e p1422) All other drugs listed in the options posses immunosuppressant properties.